Which of the following is first pharyngeal arch muscle ?
1. anterior belly of digastric
2. buccinator
3. platysma
4. posterior belly of digastric

Correct answer: 1. anterior belly of digastric

Explanation: I Arch-- Mandibular Meckel's cartilage -Malleus, Incus ,Mandible,maxilla, zygomatic , palatine, temporal , antererior ligament of malleus, sphenomandibular ligament. II Arch--Hyoid Reichert's cartilage - stapes , styloid process , lesser cornu of hyoid , upper half of body of hyoid . III Arch - Greater cornu of hyoid , lower half of body of hyoid. IV + VI Arches -thyroid, cricoid , corniculate , cuneiform, arytenoid , thyrohyoid ligament , Epiglottis. Ref : Inderbir Singh's Human Embryology, eleventh edition , pg. no., 129.